Monoclonal antibody used in Head and neck cancer is:-
1. Pembrolizumab
2. Trastuzumab
3. Rituximab
4. Ocralizumab

Correct answer: 1. Pembrolizumab

Explanation: Drug Mechanism of action Uses Pembrolizumab Monoclonal antibody against PD 1 * Multiple myeloma * Non small cell lung cancer * Head and neck cancer * Any cancer containing mismatch repair Trastuzumab Monoclonal antibody against her-2/neu Breast cancer, gastroesophageal junction cancer Rituximab Monoclonal antibody against CD20 Non hodgkin's lymphoma(NHL), chronic lymphocytic leukemia(CLL) Ocrelizumab Monoclonal antibody against CD20 Primary progressive multiple sclerosis(PPMS)